Per Rectal palpation of uterus is done in :
1. Primigravida
2. Virgins
3. Grand multi paras
4. Placenta previa

Correct answer: 2. Virgins

Explanation: Virgins